Agents that impair auto-regulation of renal blood flow include all except
1. NSAIDs
2. ACE inhibitors
3. Angiotensin-II-receptor blockers
4. Thiazide diuretics

Correct answer: 4. Thiazide diuretics

Explanation: Drugs that Impair renal auto-regulation * NSAIDs * ACE-I/ARB * Cyclosporine Ref: Harrison 19e pg: 1800